Which intravenous anaesthetic agent has cocaine line effect on cardiovascular system
1. Thiopentone
2. Propofol
3. Ketamine
4. Etomidate

Correct answer: 3. Ketamine

Explanation: Ketamine like cocaine inhibits adrenaline and noradrenaline uptake and act as sympathomimetic. KETAMINE * It is structurally related to phencyclidine * Water soluble, transparent available in 1%, 2% and 5% solution * Routes of administration - IV, IM, oral, Rectal intranasal. * Produces so - called dissociative anesthetics Characterized by profound analgesia and amnesia even though patients may be conscious and maintain protective reflexes. The proposed mechanism for this cataleptic state includes electro physiologic inhibition of thalmocortical pathways and stimulation of limbic system. * Metabolism - Extensively metabolized by hepatic microsomal cytochrome P450 enzymes and its primary metabolite, norketamine is one-third to one-fifth as potent as the parent compound. * CNS - Increase CMRO2, CBF and ICP Neuroprotective Can induce myoclonic and seizure like activity but paradoxically has anticonvulsant properties also. * CVS - Cardiovascular - Stimulating effects secondary to direct stimulation of the sympathetic nervous system. New - Ketamine is available as Racemic mixture. S(+) Ketamine separated is three times more potent in anesthetics and analgesic properties